Localized acute alveolar osteomyelitis is:
1. Garre's osteomyelitis.
2. Fibrinolytic alveolitis.
3. Sclerotic cemental masses.
4. Florid osseous dysplasia.

Correct answer: 2. Fibrinolytic alveolitis.

Explanation: Dry socket is also known as Sicca Dolorosa, alveolar osteitis, localized alveolar osteomyelitis, fibrinolytic alveolitis.